Thornwaldt cyst is also called as:
1. Laryngeal cyst
2. Nasopharyngeal cyst
3. Ear cyst
4. None

Correct answer: 2. Nasopharyngeal cyst

Explanation: Thornwaldts bursa is also called as nasopharyngeal bursa, hence thornwaldts cyst is also called as Nasopharyngeal cyst.